Internal resorption may be seen on the radiograph as
1. Inter proximal bone loss
2. Small radiolucent enlargement of the pulp chamber
3. Radiopacity in pulp chamber
4. Small area around the root apex

Correct answer: 2. Small radiolucent enlargement of the pulp chamber